In uraemic amaurosis the pupils are
1. Dilated but react to light
2. Dilated and do not react to light
3. Normal
4. Constricted

Correct answer: 1. Dilated but react to light

Explanation: Uraemic amaurosis It is a sudden, bilateral, complete loss of sight occurring probably due to the effect of certain toxic materials upon the cells of the visual centre in patients suffering from acute nephritis, eclampsia of pregnancy and renal failure. The visual loss is associated with dilated pupils which generally react to light. The fundi are usually normal except for the coincidental findings of hypertensive retinopathy, when associated. Usually, the vision recovers in 12-48 hours. Ref:- A K KHURANA; pg num:-306